Which pair of organs is involved in Goodpasture's syndrome:
1. Kidney and intestine
2. Kidney and heart
3. Kidney and lungs
4. Kidney and liver

Correct answer: 3. Kidney and lungs

Explanation: Ans. C: Kidney and lungs Goodpasture's syndrome is a rare disease that can affect the lungs and kidneys. Also called anti-glomerular basement antibody disease, it is an autoimmune disease in which kidney and lung injury are caused by circulating autoantibodies against the noncollagenous domain of the alpha3 chain of collagen IV. The antibodies initiate inflammatory destruction of the basement membrane in the renal glomeruli and pulmonary alveoli, giving rise to a proliferative, usually rapidly progressive glomerulonephritis and a necrotizing hemorrhagic interstitial pneumonitis.